All of the following criteria classifies a child (aged 11 months) as Severe Pneumonia, except:
1. Inability to drink or breast feed
2. Nasal Flaring
3. Breathing rate>40 per minute
4. Grunting

Correct answer: 3. Breathing rate>40 per minute

Explanation: - Danger Signs, that classify the child as having 'Very Severe Disease' are: Inability to feed Convulsions, abnormally sleepy or difficulty in waking up Stridor in a calm child Vomits; Severe Malnutrition - Antibiotics recommended for treatment of Severe Pneumonia (2 months - 5 years) are: Benzyl Penicillin, or Ampicillin, or Chloramphenicol, or Cloxacillin + Gentamycin